In bone biopsy decalcification and fixation is done simultaneously by?
1. Nitric acid and formalin
2. Formic acid and Formanlin
3. EDTA and Formic acid
4. Nitric acid and EDTA

Correct answer: 2. Formic acid and Formanlin